Saurday night palsy involves -
1. Radial nerve
2. Median nerve
3. Musculocutaneous
4. Ulnar nerve

Correct answer: 1. Radial nerve

Explanation: Ans. is 'a' i.e., Radial nerve Types of radial nerve palsy and deficit:High Radial Nerve palsyLoss of elbow extention Wrist, thumb and finger dropLow radial nerve palsyWrist, Finger and thumb dropPosterior interosseus nerve injuryLoss of finger and thumb extention No sensory involvementSaturday night palsyCompression of Radial nerve between spiral groove and lateral intermuscular septum (mimics High/low radial nerve palsy)Honeymoon PalsyDue to compession of partners head against the radial nerve while sleeping (similar to Saturday night palsy)